All are causes of hypoproliferative anemia except:
1. Early iron deficiency
2. Renal disease
3. Chronic inflammation
4. Later stages of iron deficiency

Correct answer: 4. Later stages of iron deficiency

Explanation: Causes of hypoproliferative anemia are early iron deficiency (before hypochromic microcytic red cells develop), acute and chronic inflammation, renal disease, protein malnutrition, endocrine deficiencies and anemias from marrow damage. Reference: Harrisons Principles of Internal Medicine, 18th Edition, Page 844